Fibroadenoma of the breast are-
1. Fixed mass
2. Diffuse mass
3. Multiple duffuse mass
4. Solitary mobile mass

Correct answer: 4. Solitary mobile mass

Explanation: • MC benign tumor of female breast
• MC age group: 15–30 years
• Known as breast mouse
• Etiology: Increased sensitivity of focal areas of breast tissue to estrogen
Pathology
• Encapsulated spherical lesion, composed of fibrous and glandular tissue
• Arise from interlobular stroma, stromal cells can be monoclonal or polyclonal
Types
• Pericanalicular (Hard): Due to proliferation of connective tissue inside the elastic lamina
• Intracanalicular (Soft): Due to proliferation of connective tissue outside the elastic lamina
Clinical Features
• Painless, slowly growing solitary mobile lump in the breast (Breast mouse) 
Diagnosis
• Characteristic popcorn calcification on mammography
• IOC is FNAC
Treatment
• No treatment is necessary when diagnosis is confirmed.
• Excision biopsy is the treatment of choice for suspicious lesion and for cosmetic indications.